All of the following are used in glaucoma treatment except
1. Apraclonidine
2. Timolol
3. Pilocarpine
4. Metoprolol

Correct answer: 4. Metoprolol

Explanation: Refer katzung 10e p103,152, kDT 6/e p144/147 Metoprolol is a Beta blocker with local anaesthetic property. Such beta blockers are not indicated in glaucoma Apraclonidine (alpha 2 agonist), timolol (Beta blocker with local anaesthetic property), and (pilocarpine directly acting miotic) are used in glaucoma